A policemen foo..a a person ln ing unconscious in iglu lateral position on the road with superficial injury to the face, bruises on the right arm, and injury to the lateral aspect of right knee. Nerve most probably injured:
1. Femoral nerve
2. Radial nerve
3. Common peroneal nerve
4. Trigeminal nerve

Correct answer: 3. Common peroneal nerve

Explanation: Ans. c. Common peroneal nerve Common peroneal nerve (L4, L5, Sl, S2) is the smaller terminal branch of sciatic nerve. The larger terminal branch of sciatic nerve is the tibial nerve. The common peroneal nerve is relatively unprotected as it traverses the lateral aspect of the head of fibula and is easily compressed at this site.' Common Peroneal Nerve Injury Common peroneal nerve (L4, L5, Sl, S2) is the smaller terminal branch of sciatic nerve. The larger terminal branch of sciatic nerve is the tibial nerve. The common peroneal nerve is relatively unprotected as it traverses the lateral aspect of the head of fibula and is easily compressed at this site. Common Modes of Injury Fracture of neck of fibula Plaster on the leg Lathi injury on the lateral side of knee joint Clinical Features: Injury to common peroneal nerve results in paralysis of all muscles in the anterior and lateral compartment of the leg (dorsiflexors of the ankle and evertors of the foot) which results in: Loss of eversion of foot and dorsiflexion of the ankle causes foot drop Foot drop and toes drags on the floor while walking Foot comes down suddenly producing a distinctive plop Variable loss of sensation on the anterolateral aspect of the leg and dorsum of the foot Articular loss the lateral side of the knee joint In common peroneal nerve injury, only eversion and dorsiflexion is lost, while inversion and plantar flexion remains normal, therefore ankle reflex is intact.